Transcutaneous electrical nerve stimulation based on:
1. Central pain
2. Referred pain
3. Gate controlled theory of pain
4. Allodynia

Correct answer: 3. Gate controlled theory of pain

Explanation: Ans. c. Gate controlled theory of pain (Ref: Sannson Wrights Applied Physiology 13/e p402)Transcutaneous electrical nerve stimulation is based on gate- controlled theory of pain.Gate Control Hypothesis (Metzek and Wall, 1965): Explain the working of spinal pain suppression system. According to this hypothesis, the dorsal grey horn acts as gate for transmission of pain sensation and this gate can be partly or completely closed by segmental suppression and supraspinal suppression.Transcutaneous Electrical Nerve Stimulation (TENS)Transcutaneous Electrical Nerve Stimulation (TENS) describes the application of electrical stimulation at the surface of skin at the site of pain.One of the most commonly used form of electroanalgesia.Control of pain by TENS is based on Gate Control Theory by Wall.Proposed Mechanism by which TENS produces NeuromodulationPresynaptic inhibition in the dorsal horn of the spinal cordEndogenous pain control (via endorphins, enkephalins, and dynorphins)Direct inhibition of an abnormally excited nerveRestoration of afferent inputTENS has been used to treat chronic intractable pain and pain associated with active or post-trauma injury, unresponsive to other standard pain therapies.It has been proposed that TENS may provide pain relief through release of endorphins in addition to potential blockade of local pain pathways.TENS has also been used to treat dementia by altering neurotransmitter activity and increasing brain activity that is thought to reduce neural degeneration and stimulate regenerative processes.